Meniere's disease is characterized by all except -
1. Conductive deafness
2. Sensorineural deafness
3. Vertigo
4. Tinnitus

Correct answer: 1. Conductive deafness